Which of the following does not simulate enterogastric reflex?
1. Products of protein digestion in the duodenum
2. Duodenal distension
3. H+ ions bathing duodenal mucosa
4. Hormones

Correct answer: 4. Hormones

Explanation: Regulation of gastric emptying by duodenum is through two mechanisms.
-        Hormonal mechanism- Inhibit gastric emptying and decrease gastric acid secretion.

Secretin
CCK
VIP
GIP
Peptide YY

 -        Enterogastric reflex- Inhibit gastric emptying through the intrinsic enteric neural plexus.

Distension of the duodenum
Duodenal hyperosmolarity
Presence of acid, fats and products of protein digestion in the duodenum.